Mercedes Benz sign or Seagull sign is seen in:
1. Gallstones
2. Renal stones
3. CBD stones
4. Hydatid cyst

Correct answer: 1. Gallstones

Explanation: Mercedes Benz sign or Seagull sign The centre of Gallstone may contain radiolucent gas in a triradiate or biradiate fissure, this gives rise to characteristic darkshapes on radiograph- the Mercedes Benz sign or Seagull sign.